In which of the following condition neutropenia occurs
1. Vasculitis
2. Myeloproliferative neoplasm
3. Exercise
4. Aplastic Anemia

Correct answer: 4. Aplastic Anemia

Explanation: In Aplastic Anemia total leukocyte count decreasd.Netrophils markedly diminshed and neutropemia is the reglection of the severity of aplasia.